All are true about cephalosporins, EXCEPT :
1. Ceftazidime is a 3rd generation cephalosporin.
2. Cefoperazone has got antipseudomonal effect.
3. Cefoxitin has got no activity against anaerobes.
4. Cephalosporins act by inhibiting cell wall synthesis.

Correct answer: 3. Cefoxitin has got no activity against anaerobes.

Explanation: β-lactam antibiotics act by inhibiting cell wall synthesis. These include penicillins, cephalosporins, carbapenems and monobactam.